Psammoma bodies seen in all except:
1. Follicular Ca of thyroid
2. Papillary Ca of thyroid
3. Serous cystadenocarcinoma of ovary
4. Meningioma

Correct answer: 1. Follicular Ca of thyroid

Explanation: . Follicular Ca of thyroid